Electrical injuries caused by contact with electrical conductors. All of the following are TRUE about electrical injuries, EXCEPT:
1. Splitting seen at points of exit
2. Electric mark at point of contact
3. Crocodile burn by low intense heat
4. Bone pearls on radiography

Correct answer: 3. Crocodile burn by low intense heat

Explanation: High tension electric currents produce 'crocodile flash burns'. They are multiple burnt or punched-out lesions produced due to the ars dancing over the body surface over large areas. Electric mark (Joule burn) is found at the point of entry of the current and diagnostic of contact with electricity. Exit marks are often seen as splits in the skin at points where the skin has been raised into ridges by the passage of current. Heat generated by the current may melt the calcium phosphate, which is seen radiologically as typical round density foci ('bone pearls' or 'wax drippings'). Ref: The Essentials of Forensic Medicine and Toxicology by Dr. K. S. Narayan Reddy, 27th edition, Page 293, 294.